Most common nerve involved in supracondylar fracture of humerus is:
1. Radial nerve
2. Ulnar nerve
3. Median nerve
4. Anterior interosseus Nerve

Correct answer: 4. Anterior interosseus Nerve

Explanation: D i.e. Supracondylar fracture